Maltese cross is Characteristic of
1. Schistosomiasis
2. Babesiosis
3. Cryptococcosis
4. Sporotrichosis

Correct answer: 2. Babesiosis

Explanation: Maltese cross (ring forms arranged in tetrad) seen in Babesia.